Which of following antigen cell does not express MHC Class II - molecules -
1. Follicular cells thyroid
2. Microglia of brain
3. Langerhan's cells of skin
4. Dendritic cell of Lymphoid cells

Correct answer: 1. Follicular cells thyroid

Explanation: Ans. is 'a' i.e., Follicular cells thyroid